Which is the least important risk factor associated with developmental dysplasia of the hip?
1. Female sex.
2. Breech position.
3. Positive family history.
4. Gestational diabetes.

Correct answer: 4. Gestational diabetes.

Explanation: Ans. D. Gestational diabetes.The two most important risk factors for developmental dysplasia of the hip are a positive family history and breech position.The other important risk factors are firstborn children and female sex. Gestational diabetes is not particularly associated with developmental dysplasia of the hip.